Dysplasia is characterized by all except
1. High nuclear to-cytoplasmic ratio
2. Loss of architecture(DNB Nov. 13 Pattern
3. Pleomorphism
4. Invasion

Correct answer: 4. Invasion

Explanation: Robbins basic pathology 9th edition page no 166 When dysplastic changes are marked and involve the entire thickness of the epithelium, the lesion is referred to as carcinoma in situ, a preinvasive stage of cancer.